Romiplostim acts on which of the following receptors:
1. Thrombopoeitin
2. IL 6
3. IL 8
4. PGE 1

Correct answer: 1. Thrombopoeitin

Explanation: Romiplostim: Genetically engineered protein in which the Fc component of a human antibody is fused to two copies of a peptide that stimulates the thrombopoietin receptors; approved for treatment of idiopathic thrombocytopenic purpura Ref: Katzung 11th edition Chapter 33.